Most common finger print type is ?
1. Loops
2. Whorls
3. Composite
4. Arches

Correct answer: 1. Loops

Explanation: Ans. is 'a' i.e., Loops Dactylography / DermatogIvphics / Calton system / Finger prints Finger prints are present from birth both on epidermis and dermis, remain constant through out life and can't be altered without destroying true skin. Finger print pattern is absolutely individual i.e. no two hands are entirely alike, not even identical twins. That's why, it is best (most sensitive and most specific) and most reliable method of identification (Quetelet's rule of biological variation). DNA finger printing may be same in monozygotic twins. The pattern is neither inherited nor identical in any two persons. So the paternity cannot be proved through finger print patterns. However, paternity can be proved by DNA finger printing. Loops (67% most common) > whorls (25%) > arches (7%) > composite (2% least common) are four main types of pattern. It is accepted that chances of 2 finger prints matching 16 ridge characteristic are infinitely small (Parikh's). In practice 8 - 16 (Reddy) / 16 - 20 (Seth, Simpson) points of fine comparision are accepted as proof of identity. Locard's poroscopy method is study of microscopic pores, formed by mouths of ducts of subepidermal sweat gland present on ridges of fingers. These pores are permanent, remain un changed during life and are very useful when only fragments offingerprints are available. Each milimeter contains 9 - 18 pores. Criminals may attempt to multilate finger prints by applying CO2 snow, corrosive agents, burns or eroding against hard surface. But these manners do not destroy finger prints permanently unless true skin is completely destroyed.